Lamina densa of the basal lamina beneath the epithelium is composed of
1. Type I Collagen
2. Type II Collagen
3. Type III Collagen
4. Type IV Collagen

Correct answer: 4. Type IV Collagen